First local anaesthesia which was used as clinical anaesthesia was:
1. Lignocaine
2. Lidocaine
3. Cocaine
4. Procaine

Correct answer: 3. Cocaine

Explanation: Cocaine was the first local anaesthesia which was used clinically.